Anaesthetic having epileptogenic potential is
1. Desflurane
2. Sevoflurane
3. Ether
4. Halothane

Correct answer: 2. Sevoflurane

Explanation: Sevoflurane Enflurane Isoflurane Have epileptic potentials Refer Katzung 11/e p 432L